HLA -A, B, C belongs to which class of HLA Complex of genes located on 6th chromosome
1. Class I
2. Class II
3. Class III
4. Class IV

Correct answer: 1. Class I

Explanation: HLA-A, HLA B HLC -Class I HLA DR DQ DP -Class II HLA BF C2 TNF etc. -Class III There is no class IV Ref: Textbook of Microbiology Baveja 5th ed Pg 133